Proton pump inhibitors inhibit_____ in the parietal cells of stomach -
1. H+ K ATPase
2. Na Ca ATPase
3. Ligand gated K channel
4. Ligand gated Ca channel

Correct answer: 1. H+ K ATPase

Explanation: Ans. is 'a' i.e., H+ K ATPase * Drugs in this group are - Omeprazole, Esomeprazole, Lansoprazole, Pantoprazole, Rabeprazole.* These drugs inhibit H+ K+ ATPase in parietal cells of stomach.